Whichof the following signs is seen in Crohn's disease?
1. String sign of Kantor
2. Strought's sign
3. Pincer sign
4. Inverted 3 sign

Correct answer: 1. String sign of Kantor

Explanation: The term "string sign" may be applied to other narrowed loops of small bowel in Crohn's disease. Carcinoid tumors may produce similar findings in the ileum and "string sign" may be seen in an elongated and narrowed pylorus caused by hypertrophic pyloric stenosis.